Complications of sling procedures (TVT) for USI are all except:
1. Injury to bladder and wound haematoma
2. Sling erosion particularly with polytetrafluoroethyl- ene (Goretex)
3. Overactive bladder in about 7% cases
4. Obturator nerve injury is about 10%

Correct answer: 4. Obturator nerve injury is about 10%

Explanation: Sling procedure employed for complicated cases of sphincter incompetence works by compressing urethra at the urethrovesical junction disadvantages:voiding difficulties, detrusor instability, sling erosion D.C.DUTTA'S TEXTBOOK OF GYNAECOLOGY,Pg no:405,6th edition